The ideal chelating agent in case of G6PD deficiency is
1. DMSA
2. DMPS
3. EDTA
4. BAL

Correct answer: 1. DMSA

Explanation: Succimer or DMSA (dimercaptosuccinic acid): Is useful in lead, mercury and arsenic poisoning. It is superior to EDTA in the treatment of lead poisoning, as it is less toxic to the kidneys and can be given in G-6-PD deficient patients. When compared to other chelating agents G-6-PD people have less chance of hemolysis with DMSA. Ref - Krishan Vij textbook of forensic medicine and toxicology 5e pg : 453 , 466 ,469